Which drug can be eliminated by nonenzymatic degradation
1. Atracurim
2. Pancuronium
3. Mivacurium
4. Dexacurium

Correct answer: 1. Atracurim

Explanation: The unique feature of atracurium is inactivation in plasma by spontaneous non-enzymatic degradation (Hofmann elimination) in addition to that by alkaline ester hydrolysis Consequently, its duration of action is not altered in patients with hepatic/renal i9nsufficiency or hyperdynamic circulation - preferred muscle relaxant for such patients as well as for neonates and the elderlyAtracurium is metabolized to laudanosine that is responsible for seizures.(Refer: Morgan and Mikhail's Clinical Anaesthesiology, 5th edition, pg no. 216, 269)